Most common indication for operation in tuberculosis of intestine is -
1. Obstruction
2. Perforation
3. Mass abdomen
4. GI symptoms

Correct answer: 1. Obstruction